Left renal vein crosses aorta -
1. Posterior at level of superior mesenteric artery
2. Anterior above the level of superior mesenteric artery
3. Anterior below the superior mesenteric artery
4. Anterior below the inferior mesenteric artery

Correct answer: 3. Anterior below the superior mesenteric artery

Explanation: Left renal vein passes behind and below the superior mesenteric artery, crossing in front of the aorta.